The most important factor associated with causation of head and neck carcinoma is
1. Intravenous drug abuse
2. Exposure to nickel
3. History of syphilis
4. Tobacco use

Correct answer: 4. Tobacco use